Which of the following does NOT supply the palate
1. Tonsillar branch of Facial Artery
2. Ascending Palatine Artery
3. Descending Palatine Artery
4. Ascending Pharyngeal Artery

Correct answer: 1. Tonsillar branch of Facial Artery

Explanation: Palate is supplied by greater and lesser palatine arteries of the descending palatine artery (branch of maxillary artery), the ascending palatine artery (branch of facial artery), and the palatine branch of the ascending pharyngeal artery.